Most common site of infection of herpes simplex?
1. Thorax
2. Abdomen
3. Face
4. Extremities

Correct answer: 3. Face

Explanation: C i.e. Face